The hyperkinetic disorder is characterised by all, except-
1. Impulsivity
2. Distractibility
3. Hyperactivity
4. Hallucinations

Correct answer: 4. Hallucinations

Explanation: Characteristic triad of hyperkinetic disorder (Attention deficit hyperactivity disorder) includes Hyperactivity, impulsiveness and inattention (distractibility or lack of concentration).